Quadrilateral cartilage is attached to all of the following structures, EXCEPT:
1. Ethmoid
2. Vomer
3. Sphenoid
4. Maxilla

Correct answer: 3. Sphenoid

Explanation: The nasal septum has bony and cartilaginous components. The septal cartilage is called quadrilateral cartilage, inferiorly it articulates with maxillary septum. Posteriorly, cartilaginous septum articulates inferoposterior with the vomer, superoposterior with perpendicular plate of the ethmoid.